Stain used for degenerated fungi in tissue is?
1. PAS
2. Gomori methenamine silver
3. HE
4. Muciramine

Correct answer: 2. Gomori methenamine silver

Explanation: Ans. (b) Gomorimethanamine silverRef: Lever's histopathology of skin 10th ed p. 591-593